Irradiation can be used to sterilize all except :
1. Bone graft
2. Suture
3. Artificial tissue graft
4. Bronchoscope

Correct answer: 4. Bronchoscope

Explanation: Bronchoscopes are sterilized by glutaraldehyde (Cidex). Gamma rays are used for sterilization of pre-packed disposable items, sutures, IV cannulas, urinary catheter, contraceptive devices, bone or tissue grafts